Characteristic feature of Schizoid personality is
1. Conversion reaction
2. Not concerned with disease
3. Checks details of all things
4. Emotional coldness

Correct answer: 4. Emotional coldness

Explanation: D i.e. Emotional ColdnessPeople with Schizoid personality disorder are devoid of (lack) sense of enjoyment, emotionally cold, aloof & detachedQ (Mn: "DEAD"). They are humourless, introspective and prone to fantasyQ.People with paranoid personality disorder are suspiciousQ, sensitive, mistrustful, resentful and bear grudges. They have marked sense of self importance but easily feel shame (humiliation) & sexual jealousy. (Mn - "lots of S's")